Lines of Blasehko are related to -
1. Keratinocytes
2. Blood vessels
3. Nerves
4. Bones

Correct answer: 1. Keratinocytes

Explanation: Ans-A Keratinocytes o Blaschko's lines correspond to the pathways followed by keratinocytes migrating from the neural crest during embryogenesis.o The lines follow a V-shape over the spine, an S-shape on the abdomen, inverted U-shape from the breast area to the upper arm and perpendicular down the front and back of the lower extremities.